In jarjaway fracture of nasal bone, the fracture line is
1. Oblique
2. Comminuted
3. Vertical
4. Horizontal

Correct answer: 4. Horizontal

Explanation: Jarjaway' fracture of nasal septum occurs due to blows from the front. Fracture line starts just above the anterior nasal spine and runs horizontally backwards just above the junction of septal cartilage with the vomer. Ref: Textbook of ENT; PL Dhingra;7th edition, pg no.165